Which of the following conditions cause an over growth of epiphysis?
1. Hemophilia
2. Osteogenisis imperfecta
3. Marfan's syndrome
4. Paget's disease

Correct answer: 1. Hemophilia

Explanation: Patients with hemophilia can suffer from hemarthrosis even after minor trauma. Long-term sequelae of multiple bouts of hemarthrosis include cartilage damage, subarticular cysts, osteopenia, and enlarged epiphyses. The combination of intercondylar notch widening and widened epiphysis is seen only in haemophilia and juvenile rheumatoid arthritis (JRA).